Saddle block can be used for all the following condition except-
1. Dilatation and curettage
2. Haemorrhoids
3. Rectal prolapse
4. Cesarean section

Correct answer: 4. Cesarean section

Explanation: Cesarean delivery requires a level of block up to T4, which is not possible by saddle block Dermatomal Level required for Various Common Surgical Procedures: T4 - Upper abdominal surgery T10 - Transurethral resection of prostate T10 - Hip surgery L2 - Foot and ankle surgery S2-S3- haemorrhides